In emergency, which artery can be safely ligated ?
1. Internal iliac
2. Popliteal
3. Renal arteryInternal carotid
4. All

Correct answer: 1. Internal iliac

Explanation: Ans. is 'a' i.e. Internal iliac